Miss X lifts weights. When she contracts her biceps muscle, all of the following parts of the muscle shorten EXCEPT the:
1. Sarcomeres
2. I bands
3. A bands
4. Inter Z line distance

Correct answer: 3. A bands

Explanation: When Miss X contracts her biceps muscle the A bands do not shorten because they represent the length of the myosin filaments which is constant. The sarcomere is the distance between the Z lines/discs and shortens as the myosin-actin cross bridges are formed. I bands are areas that cross the Z disc and contain only the part of the actin filaments that do not overlap with the myosin filaments. As the muscle shortens, overlap increases and the I bands shorten. This is the sliding filament mechanism of contraction. Ref: Barrett K.E., Barman S.M., Boitano S., Brooks H.L. (2012). Chapter 5. Excitable Tissue: Muscle. In K.E. Barrett, S.M. Barman, S. Boitano, H.L. Brooks (Eds),Ganong's Review of Medical Physiology, 24e.